The vector of Dengue fever is -
1. Aedes aegypti
2. Aedes albopictus
3. Aedes polynesiensis
4. Aedes scutellaris

Correct answer: 1. Aedes aegypti

Explanation: Aedes aegypti is the vector for dengue fever. REF. PARK'S TEXTBOOK OF PREVENTIVE AND SOCIAL MEDICINE 21ST EDITION. PAGE NO - 225